A lady in the second trimester underwent a hemogram and her hemoglobin was found to be 6mg%. The gynaecologist suggested for IV transfusion of packed red cells to improve the level.

How much of iron is absorbed by transfusion of 2 units of packed red cells?
1. 2gm
2. 2mg
3. 1gm
4. 500mg

Correct answer: 4. 500mg